Alderman's nerve is a branch of -
1. Superior cervical ganglion
2. Inferior cervical ganglion
3. Auricular branch of vagus nerve
4. None

Correct answer: 3. Auricular branch of vagus nerve

Explanation: C i.e. Auricualr branch of vagus nerve The auricular branch of vagus nerve is often termed as Alderman's nerve or Arnold's nerveQSince the Alderman of the Anglo-saxon empire was habitually eating and then putting some cold water in the ear to stimulate this nerve to initiate vomiting, this name came into being. In this way they could empty their stomach quickly and restart eating.